Phenol Coefficient indicates -
1. Efficiency of a disinfectant
2. Dilution of a disinfectant
3. Quantity of a disinfectant
4. Purity of a disinfectant

Correct answer: 1. Efficiency of a disinfectant

Explanation: Phenol coefficient - Efficiency of a disinfectant is compared with that of phenol Greater the phenol coefficient , more will be efficiency of disinfectant.